WHO theme for 2019:
1. Universal coverage: Everyone, Everywhere.
2. Depression, lets talk.
3. Good health adds life to years.
4. Working together for health.

Correct answer: 1. Universal coverage: Everyone, Everywhere.